Longest diameter of fetal skull?
1. Suboccipito-bregmatic
2. Occipto-ffontal
3. Mento-vertical
4. Submento vertical

Correct answer: 3. Mento-vertical

Explanation: Ans. is 'c' i.e., Mento-vertical Diameters offetul skullAntero - posteriorDiameterMeasurement in cm (inches)Attitude of the headPresentation1. Suboccipito-bregmatic - nape of the neck to centre of bregma9.5 cms(3 3/4 )Complete flexionVertex2. Suboccipitofrontal - nape of the neck to the anterior end of anterior fontanelle or centre of sinciput10 cms (4")Incomplete flexionVertex3. Occipito-frontal - occipital eminence to the root of nose11.5 cms (4 1/2 ")Marked deflexionVertex4. Mento-vertical - mid point of the chin to highest point of sagittal suture14cms (5 1/2 ")Partial extensionBrow-5. Submento-vertical - junction of the floor of mouth & neck to the highest point of sagittal suture11.5 cms (4 1/2 ")Incomplete extensionFace6. Submento bregmatic - junction of the floor of mouth & neck to centre of bregma9.5 cms (3 3/4 ")Complete extensionFace